Patient on verapamil should not be given beta blocker as -
1. Conduction block
2. Bronchospasm
3. Neurogenic shock
4. Anaphylaxis

Correct answer: 1. Conduction block

Explanation: Ans. is 'a' i.e., Conduction block Adverse effects of CCBso Nausea, constipation and bradycardia are more common with verapamil.o Verapamil can accentuate conduction defect-should be avoided in 2nd & 3rd degree block, in sick sinus syndrome and along with [3-blocker.o Most common side effects of DHPs are palpitation, flushing, hypotension, headache, ankle edema, drowsiness and nausea.o Nifedipine can paradoxically increase the frequency of angina in some patients.o Nifedine can cause voiding difficulty in elderly (relaxant effect on bladder) and glucose intolerance (decreases insulin release).